HCG is produced by
1. Kidney
2. Placenta
3. Pituitary
4. Liver

Correct answer: 2. Placenta

Explanation: Chorionic gonadotropin (human chorionic gonadotropin (HCG) (hCG)) is a glycopeptide hormone that is produced by cells of the fetal placenta and maintains the function of the corpus luteum during the first few weeks of pregnancy.Ref: Ganong's review of medical physiology;24th edition; page no:-414